A health team visited along with the community leaders and health workers, all the primary schools and mosques in a village to give polio drops during polio campaign. The community workers facilitated identification of houses with children less than five years of age. This reflects
1. Management
2. Community participation
3. Prioritization
4. Situation analysis

Correct answer: 2. Community participation